Commonest cause of meningoencephalitis in children is:
1. HSV
2. Measles
3. Arbovirus
4. Enterovirus

Correct answer: 4. Enterovirus

Explanation: - Enteroviruses are the most common cause of viral meningoencephalitis in children . Also remember, - JAPANESE ENCEPHALITIS is MCC of encephalitis in children in India